Alteplase differs from streptokinase as it:
1. Is longer acting
2. Is derived from human kidney
3. Is cheap
4. Activates plasminogen bound to fibrin

Correct answer: 4. Activates plasminogen bound to fibrin

Explanation: Ans. (D) Activates plasminogen bound to fibrin(Ref: KDT 8/e p674)Fibrinolytics are the drugs which activate plasminogen to form plasmin and thus help in lysis of thrombus. These drugs can cause bleeding as the major adverse effect due to lysis of physiological thrombi as well as due to excessive amount of plasmin generated in the circulation.